B-type tympanogram is seen in -
1. Serous otitis media
2. Ossicular discontinuity
3. Otosclerosis
4. All of the above

Correct answer: 1. Serous otitis media

Explanation: Ans. is 'a' i.e., Serous otitis media Type of curseConditionA curve (Normal peak height and pressure)NormalEustachian tube obstructionAs curve (It is also a variant of normal tympanogram but may be shallow)OtosclerosisTumors of middle earFixed malleus syndromeTy mpanosclerosi sAd curve(Variant of normal with high peak)Ossicular discontinuityPost stapedectomyMonometric ear drumB curve(Flat or dome shaped curve)Indicating lack of complianceFluid in middle earSecretory otitis mediaTympanic membrane perforationGrommet in earC curve (negative peak pressure)Retracted tympanic membraneFaulty function of eustachian tube,' eustachian tube obstruction